Vipeholm study is used in
1. Oral cancer
2. AIDS
3. Caries
4. Periodontal disease

Correct answer: 3. Caries